All of the following are branches of cerebral part of the internal carotid artery, EXCEPT:
1. Ophthalmic artery
2. Anterior cerebral artery
3. Posterior communicating artery
4. Meningeal artery

Correct answer: 4. Meningeal artery

Explanation: Meningeal artery is a branch of cavernous part of Internal carotid artery.Must know:The internal carotid artery begins at the superior border of the thyroid cartilage as one of the terminal branches of common carotid artery.Its course is divided into four parts: Parts of ICABranches(A) Cervical partsNo branches(B) Petrous partCaroticotympanic arteryPterygoid artery(C) Cavernous partCavernous branches (to trigeminal ganglion, walls of cavernous and inferior petrosal sinuses and contained nerves)Superior hypophysial arteryInferior hypophysial arteryMeningeal artery(D) Cerebral partOphthalmic arteryAnterior cerebral arteryMiddle cerebral arteryPosterior communicating arteryAnterior choroidal arteryRef: BDC 4/e Vol 3 page, 103, 178-179; Grays anatomy 38/e, Cardiovascular system